Which of the hormone has 4 subunits and 2 units for tyrosine kinase receptor binding?
1. Insulin
2. Glucagon
3. T3
4. ADH

Correct answer: 1. Insulin

Explanation: Insulin receptor is 'enzyme linked receptor Insulin binds to alpha-subunits => due to linkage, portions of b-subunits become auto-phosphorylated